Best treatment protocol of a Enterogenic cyst
1. Enucleation
2. Resection with intestine part
3. Aspiration with marsupialization
4. Observe

Correct answer: 2. Resection with intestine part

Explanation: Ans. (b) Resection with intestine partRef: Bailey & Love 2&h ed. / 903* Enterogenous cyst arises from either a diverticulum of the mesentric border of the intestine that has become sequestrated from the intestinal canal during embryonic life or from a duplication of the intestine.* An enterogenous cyst has a thicker wall than a chylolymphatic cyst and is lined by mucous membrane, sometimes ciliated.* The content is mucinous and is either colourless or yellowish brown as a result of past haemorrhage. The muscle in the wall of an entric duplication cyst and the bowl with which it is in contact have a common blood supply, consequently removal of the cyst always entails resection of the related portion of intestine.